A woman diagnosed with Trichomoniasis should also be evaluated for which of the following?
1. Functional bowel dysfunction
2. Hypertension
3. Other venereal disease
4. Ovarian malfunction

Correct answer: 3. Other venereal disease

Explanation: The same sexual encounters that spread trichomoniasis can also spread a wide variety of other sexually transmitted disease, including herpes, human papilloma virus, syphilis, gonorrhea, chlamydia, and AIDS. Additionally, the lesions produced by the trichomoniasis particularly facilitate the spread of the AIDS virus, since the normal mucosal barrier is breached. The woman's chance of transmitting AIDS to her partner is also increased by the presence of the trichomoniasis open sores. The other choices list distractors unrelated to trichomoniasis. Ref: Mackay G. (2013). Chapter 43. Sexually Transmitted Diseases & Pelvic Infections. In A.H. DeCherney, L. Nathan, N. Laufer, A.S. Roman (Eds),CURRENT Diagnosis & Treatment: Obstetrics & Gynecology, 11e.